False about antigen drift?
1. Causes pandemic
2. Occurs due to mutation
3. Occurs more frequently
4. Affected by previous antibodies

Correct answer: 1. Causes pandemic

Explanation: Ans. is 'a' i.e., Causes pandemic o Antigenic shift (not drift) is responsible for pandemic. o Antigenic drift occurs due to point mutation. o Antigenic drift occurs more frequently (2-3 years) than antigenic shift (10-15 years). o Antigenic drift is influenced by the presence of antibodies to the predecessor strains in the host population.